Antibiotic associated diarrhea is caused by
1. CI. difficile
2. Cholera
3. Salmonella
4. Klebsiella

Correct answer: 1. CI. difficile

Explanation: Inflammation of the colon caused by the bacteria Clostridium difficile. Clostridium difficile colitis results from disruption of normal, healthy bacteria in the colon, often as a result of antibiotics. C. difficile can also be transmitted from person to person by spores. It can cause severe damage to the colon and even be fatal Antibiotic-associated diarrhoea is among the most common adverse events related to antibiotic use. Most cases are mild, but Clostridium difficile infection causes a spectrum of disease, ranging from occasional diarrhoea to colitis, toxic megacolon, and potentially death Ref Harrison20th edition pg 1123